Standard deviation is measured in ?
1. Distribution
2. Dispersion
3. Mean-deviation
4. All of the following

Correct answer: 2. Dispersion

Explanation: Ans. is 'b' i.e., Dispersion